Most common type of schizophrenia -
1. Simple
2. Hebephrenic
3. Catatonic
4. Paranoid

Correct answer: 4. Paranoid

Explanation: Paranoid schizophrenia is the commonest type of schizophrenia in clinical practice.